In Hartnup disorder what is seen?
1. Pellagra like rash
2. Burn feet rash
3. Alopecia
4. Vitiligo

Correct answer: 1. Pellagra like rash

Explanation: a. Pellagra like rash(Ref: Nelson's 20/e p 648-649)Clinical Features of Hartnup Disorder:Most children with hartnup defect remain asymptomaticIn symptomatic patients cutaneous photosensitivity and pellagra-like rash on sun exposureSome patients may have intermittent ataxia manifested as an unsteady, wide-based gait